All are risk factors of HCC except
1. HBV
2. HCV
3. Alcohol
4. IBS

Correct answer: 4. IBS

Explanation: Risk factors for HCC Chronic infection with HBV and HCV Post necrotic cirrhosis Alcoholic cirrhosis Primary biliary cirrhosis Ref: Sabiston 20th edition Pgno : 1458